Most malignant testicular tumour -
1. Embryonal cell carcinoma
2. Seminoma
3. Choriocarcinoma
4. Teratoma

Correct answer: 3. Choriocarcinoma